Following drugs are antipseudomonal except
1. Carbenicillin
2. Piperacillin
3. Vancomycin
4. Azlocillin

Correct answer: 3. Vancomycin

Explanation: VANCOMYCIN Vancomycin is drug which is not effective against Pseudomonas Not effective orally Causes Red man syndrome(vancomycin cause direct action on Mast cells and release histamine) Other toxic effects of vancomycin are chills, ototoxicity and nephrotoxicity. DOC- MRSA, antibiotic associated pseudomembranous enterocolitis.